Cholinesterase reactivators are ineffective in case of:
1. Baygon
2. Parathion
3. Malathion
4. Tik 20

Correct answer: 1. Baygon

Explanation: Ans. Baygon